Which of this following parts of vertebral canal will show secondary curves with concavity towards back?
1. Cervical Veibral Canal
2. Thoracic Veibral Canal
3. Sacral Veibral Canal
4. Coccyx Veibral Canal

Correct answer: 1. Cervical Veibral Canal

Explanation: In adults, the cervical curve and lumbar curve is concave backwards. The thoracic and sacral curve is convex backwards.Ref: Clinical Anatomy by Systems, Richard S. Snell, Edition 2007, Chapter 12, Page 860; Anatomy at a Glance, Omar Faiz, 3rd Edition, Chapter 77, Page 175.